Generalized necrotising lymphadenopathy is -
1. Kimura disease
2. Kukuchi disease
3. Non-Hodgkin's lymphoma
4. Castleman's disease

Correct answer: 2. Kukuchi disease